The following is the feature of j - reflex:
1. Rapid shallow breathing
2. Bradycardia
3. Hypotension
4. All

Correct answer: 4. All

Explanation: J -reflex is produced due to hyper inflation of the lung It produces: Apnoea followed by rapid shallow breathing, bradycardia, hypotension Ref:Guyton and Hall textbook of medical physiology 12th edition,page number:373